Ziconotide acts by blocking ?
1. Voltage gated Na channel
2. Voltage gated Ca channel
3. Ligand gated Na channel
4. Ligand gated Ca channel

Correct answer: 2. Voltage gated Ca channel

Explanation: Ans. is'b'i.e., Voltage gated Ca channel(Ref: Essential of pain medicine by HonorioBenmn p. 4581)Ziconotide:Ziconotide (SNX-111 ; Prialt) is an atypical analgesic agent for the amelioration of severe and chronic pain.Acts as a selective N-type voltage-gated calcium channel blocker.